Nuclear cataract can cause -
1. Myopia
2. Hyperopia
3. Presbyopia
4. Astigmatism

Correct answer: 1. Myopia

Explanation: In patients with nuclear sclerosis, distant vision deteriorates due to progressive index myopia. Such patients may be able to read without presbyopic glasses. This improvement in near vision is referred to as 'second sight'.